In Wegeners glomerulonephritis characteristic feature seen is
1. Granuloma in the vessel wall
2. Focal necrotizing glomerulonephritis
3. Nodular glomerulosclerosis
4. Interstitial granuloma

Correct answer: 2. Focal necrotizing glomerulonephritis

Explanation: This is a necrotising vasculitis characterised by specific triad . Granuloma of the lung and the upper respiratory tract . Vasculitis of small to medium sized vessels . Glomerulonephritis Robinns 9 th edition page no. 353